Aortic hiatus contains
1. Left gastric vein and thoracic duct
2. Thoracic duct and hemiazygos vein
3. Azygos vein and thoracic duct
4. Left vagus and thoracic duct

Correct answer: 3. Azygos vein and thoracic duct

Explanation: The aortic opening is osseoaponeurotic.It lies at the lower border of the 12 th thoracic vertebra.It transmits Aorta,Thoracic duct and Azygos vein. REF.B D Chaurasia's human anatomy,Vol 2,Fifth edition.Pg 337